Which of the following is the most common type of congenital cataract?
1. Sutural cataract
2. Lamellar cataract
3. Coronary cataract
4. Embryonic nuclear cataract

Correct answer: 2. Lamellar cataract

Explanation: Lamellar cataract is the most common type of congenital cataract. It occur in a zone of fetal nucleus surrounding the embryonic nucleus. In this type, the main mass of the lens internal and external to the zone of cataract is clear except for small linear opacities like spokes of wheel seen towards the equator. Coronary cataract is a common form of cataract occurring during puberty. It involves either the adolescent nucleus or deeper layer of the cortex. The opacity have a regular radial distribution in the peripheral of lens encircling the central axis. Ref: Ophthalmology By A. K. Khurana page 188